The virus which causes aplastic anemia in chronic hemolytic diseases is
1. Adenovirus
2. Hepatitis virus
3. EB virus
4. Parvovirus

Correct answer: 4. Parvovirus